Which of the following antibiotic has prokinetic property
1. Ciprofloxacin
2. Erythromycin
3. Gentamicin
4. Isoniazid

Correct answer: 2. Erythromycin

Explanation: Erthroycin is a motilin receptor agonist and increases gastric motility. It used in Diabetic gastropatesis and along with Neostigmine.
It is used to treat Ogilvie syndrome (catchpole regimen).